Rivastigmine and donepezil are drugs used predominantly in the management of:
1. Depression
2. Dissociation
3. Delusion
4. Dementia

Correct answer: 4. Dementia

Explanation: Acetylcholinesterase inhibitors (donepezil, galantamine, rivastigmine) increase the concentration of and duration of action of acetylcholine in the central nervous system. There is evidence that in moderately severe Alzheimer's disease, these drugs improve cognitive function and behavior for up to a year.